Mechanism of action of tetanospasmin -
1. Inhibition of GABA release
2. Inhibition cAMP
3. Inactivation of Ach receptors
4. Inhibition of cGMP

Correct answer: 1. Inhibition of GABA release